Salmonella gastroenteritis is -
1. Mainly diagnosed by serology
2. Blood and mucus present in blood
3. Caused by animal products
4. All

Correct answer: 3. Caused by animal products

Explanation: Ans. is 'c' i.e., Caused by animal products Salmonella gastroenteritis (enterocolitis) It is a zoonotic disease. . The most important sources of infection are poultry, meat, milk and milk products. Of great concern are eggs and egg products. Salmonella can enter through the shell if eggs are left on contaminated chicken feed or feces and grow inside. . Pathogenesis is due to invasion of the bowel mucosa, not toxin mediated. . It may be caused by any salmonella except S.typhi. S. typhimurium is the most common species. Incubation period --> 6-48 hrs. . Clinically manifested as diarrhea, fever and abdominal pain. The diarrhea is usually characterized by loose, nonbloody stools. . Laboratory diagnosis is made by isolating the salmonella from feces. Treatment is symptomatic, antibiotic should not be used. Remember Enteric fever is a major problem in developing countries, while salmonella gastroenteritis is largely a problem for the developed nations.